Cytogenetics for synovial cell sarcoma is
1. t(X:18)
2. t(17,9)
3. t(9,22)
4. t(11,14)

Correct answer: 1. t(X:18)

Explanation: Most synovial sarcoma show a charecteristic(x:18) translocation that produces a fusion gene encoding a chimeric transcription factor. They usually devolop in deep soft tissues aroundcthe knee,occuring in age groups 20-40s Robbins basic pathology 9th edition page no 795,heading=synovial sarcoma